The tumor marker for Endodermal sinus tumor is
1. HCG
2. CEA
3. cytokein
4. Alpha fetoprotein

Correct answer: 4. Alpha fetoprotein

Explanation: Endodermal sinus Tumors often have eosinophilic hyaline globules in which a1-antitrypsin and alpha fetoprotein (AFP) can be demonstrated by immunohistochemical techniques. As mentioned later, AFP can also be detected in the serum .Serum AFP is a very good tumor marker in patients with germ cell tumors composed of or containing endodermal sinus (yolk sac) tumor, irrespective of their location. ref : Robbins Basic Pathology, 9E,page-661